Which of the following drug when used with carbonic anhydrase inhibitors, will lead to development of renal stones?
1. Valproic acid
2. Carbamazepine
3. Gabapentin
4. Topiramate

Correct answer: 4. Topiramate

Explanation: Topiramate can be dangerous as it may cause renal stone formation if used along with carbonic anhydrase inhibitors. Ref: Harrisons principles of internal medicine, 18th edition, Page: 3263, Table: 369/9.